Effectiveness of blood brain barrier is by:
1. Tight endothelial function
2. Microglial cell
3. Thick basement membrane
4. Tight arrangement of astrocyfes

Correct answer: 1. Tight endothelial function

Explanation: A i.e. Tight endothelial function